Organelle involved in protein sorting is
1. Golgi apparatus
2. Mitochondria
3. Ribosomes
4. Nuclear membrane

Correct answer: 1. Golgi apparatus

Explanation: Protein sorting, O glycosylation, and glycoproteins, oligosaccharide chain processing are the functions of the Golgi apparatus. Reference: Harper; 30th edition